Gluconeogenesis is inhibited by:
1. Insulin
2. Glucagon
3. Glucocorticoids
4. GnRH

Correct answer: 1. Insulin

Explanation: Ans. (a) InsulinRef: Harper's Biochemistry, 30 ed. pg. 191-192th* Synthesis of glucose from non-carbohydrate source is called Gluconeogenesis.Hormonal Regulation Glucagon, epinephrine, glucocorticoids.| Insulin|* Gluconeogenesis is regulated by 4 key enzymes-# Pyruvate carboxylase# Phosphoenolpyruvate carboxylase# F16 bisphosphatase# G-6-phosphatase